In a patient with gouty arthritis Synovial fluid aspiration will show which of the following:
1. Monosodium urate crystals
2. Calcium pyrophosphate crystals
3. Mononulcear leucocytosis
4. Polymorphonuclear leukocytosis

Correct answer: 1. Monosodium urate crystals

Explanation: The definitive diagnosis of gout is made of examination of synovial fluid or tophaceoius material with polarized light microscopy and identifying the characteristic monosodium urate crystals * Group of conditions which may be characterized by an elevation of serum uric acid (usually) * Recurrent attacks (flares) of an acute inflammatory arthritis with monosodium urate crystals demonstrated in synovial fluid leukocytes * Bone and joint destruction in some cases Refer Harrison 20th/e p 2166/ maheswari 9th ed